Histopathological examination of testicular mass of 30 yr old man shows a heterogeneous, collection of differentiated cells such as neural tissue, muscle bundles, islands of cartilage, clusters of squamous epithelium, structures reminiscent of thyroid gland, bronchial epithelium, and bits of intestinal wall or brain substance.All are true about tumor except ?
1. Markers : |AFP , | ss HCG
2. Presence of immature components is not needed to determine the malignant potential of this tumor
3. Origin from totipotent cells
4. In post-pubertal males, this tumor is considered benign.

Correct answer: 4. In post-pubertal males, this tumor is considered benign.

Explanation: Patient is having testicular teratoma Origin from totipotent cells Teratomas in males are malignant unless proved otherwise Presence of immature components is not needed to determine the malignant potential of this tumor in this patient Markers : |AFP , | ss HCG